Which one of the following regarding antenatal assessment of umbilical arteries by Color Doppler studyis TRUE?
1. There is decreased S/D ratio in smoker and nicotine abusing pregnant females
2. The reduced diastolic flow at term indicates good prognosis
3. The flow velocities and the S/D ratio are useful to evaluate high risk pregnancies
4. In otherwise normal pregnancies the increased S/D ratio is normal in smoking females

Correct answer: 3. The flow velocities and the S/D ratio are useful to evaluate high risk pregnancies

Explanation: C i.e. The flow velocities & S/D ratio are useful to evaluate high risk pregnancies Colour doppler analysis of umbilical arteries play an important role in assessment of high risk fetus (pregnancy)Q.